All of the following are true about the stationary phase used in high-pressure liquid chromatography, EXCEPT
1. Made up of fine particles
2. Provides high resistance
3. Provides more surface area
4. Provides low resolution

Correct answer: 4. Provides low resolution

Explanation: Stationary phase in HPLC is made up of fine silicone particles - option a is correct As there are a lot of fine particles, the surface area is increased and resistance to the mobile phase is increased. That is why we apply high-pressure - option b and c are correct As the surface area is high, the chance interaction between stationary and mobile phase is high - good separation is achieved, i.e. resolution is high, not low - option d is wrong